Function of Golgi apparatus:
1. Storing and packing of proteins
2. Breaking of fatty acids
3. Steroid synthesis
4. DNA replication

Correct answer: 1. Storing and packing of proteins

Explanation: Ans: A (Storing and packing of proteins) Ref: Harper's illustrated Biochemistry, 29th edition.Explanation:StructureFunctionNucleus* Contains genetic materialRibosomes* Protein synthesis ( Translation)RoughEndoplasmicreticulum* Synthesis/modification and transport of proteins and lipids* Folding of protein molecules in sacs called cisternae* Transport of synthesized proteins in vesicles to the Golgi apparatus.SmoothEndoplasmicreticulum* Synthesizes lipids, phospholipids, and steroids* Plays a major role in excitation-contraction coupling in skeletal muscles* Metabolism of carbohydrates, drug detoxification, attachment of receptors on cell membrane proteins, and steroid metabolism.Golgi apparatus* Processing, distribution of proteins & lipids* Major collection and dispatch station of protein products received from the endoplasmic reticulum* Post-translational modification of proteinsLysosomes* Digestion of substances in ceil* contain acid hydrolase enzymes* Digest excess or worn-out organelles, food particles, and engulfed viruses or bacteriaPeroxisomes* Lipid metabolism and detoxification* Breakdown of very long chain fatty acids through beta-oxidationCentriole* Cytcskeletal organization